In which cause of jaundice there is no bilirubin excretion in urine-
1. Obstructive jaundice
2. Primary billiary cirrhosis
3. Extrahepatic billiary atresia
4. Hemolytic jaundice

Correct answer: 4. Hemolytic jaundice

Explanation: Ans is 'd' i.e. Hemolytic jaundice o Hemolysis results in unconjugated haperbillirubinemia. Unconjugated bilirubin is highly lipid soluble (lipophilic). It is insoluble in water and tightly bound to albumin - cannot be excreted in urine.o All other options lead to conjugated hyperbilirubinemia. Conjugated bilirubin is water soluble and only loosely bound to albumin and thus is easily filtered by glomeruli and excreted in urine.